Ocular manifestation in giant cell arteritis?
1. Arteritic AION
2. Nonarteritic AION
3. Papilledema
4. Horners Syndrome

Correct answer: 1. Arteritic AION

Explanation: Ans. a. Arteritic AIONAION occurs due to interference of blood supply to anterior part of optic nerve (posterior ciliary artery)AION can be clinically differentiated into:Arteritic AIONNonarteritic AION*. Due to giant cell arteritis*. Due to occlusion of short posterior ciliary artery*. Sudden, severe visual loss (6/60)*. Sudden, moderate visual loss (>60/60 non-progressive)*. Most common in females, 7-8th decade*. Most common males, 5th-6th decade*. Premonitory symptoms like pain, Amaurosis Fugax present*. Premonitory symptoms like pain, Amaurosis Fugax absent*. Usually Bilateral-fellow eye affected within days to weeks*. Usually Unilateral (>70%)*. Pale optic disc*. Hyperemic optic with small cup*. Poor prognosis*. Good prognosis